All the following are drugs are used in the management of acute myocardial infraction except
1. Tissue plasminogen activator
2. Intravenous beta blockers
3. Acetylsalicylic acid
4. Calcium channel blockers

Correct answer: 4. Calcium channel blockers

Explanation: Ref Harrison 19 th ed pg 1596 Results of multiple trials of different calcium antagonists have failed to establish a role for these agents in the treatment of most of the patients with MI .